Most common genital prolapse is:
1. Cystocoele
2. Procidentia
3. Rectocoele
4. Enterocoele

Correct answer: 1. Cystocoele

Explanation: The first event in a prolapse is the Retroversion of uterus The first and the commonest type of genital prolapse is the Cystocoele. Types of Prolapse. Uterine prolapse, Prolapse of the bladder and Prolapse of the rectum. Uterine Prolapse: Cys